Where is the anatomical location of Foramen of Winslow?
1. Between greater and lesser sac
2. At hilum of liver
3. Transverse cervical ligament of uterus
4. Pouch of Douglas

Correct answer: 1. Between greater and lesser sac

Explanation: The lesser omentum forms a sac known as the omental bursa, which forms a subdivision of the peritoneal cavity known as the lesser sac. The greater sac is the remaining part of the peritoneal cavity. The greater and lesser sacs communicate with each other through the epiploic foramen (of Winslow). Boundaries of epiploic foramen:Anteriorly: The free border of the lesser omentum, containing the bile duct, the hepatic artery, and the portal veinPosteriorly: Inferior vena cavaSuperiorly: The caudate process of the caudate lobe of the liverInferiorly: The first part of the duodenumRef: Morton D.A., Foreman K.B., Albertine K.H. (2011). Chapter 8. Serous Membranes of the Abdominal Cavity. In D.A. Morton, K.B. Foreman, K.H. Albertine (Eds), The Big Picture: Gross Anatomy.